All of the following are true about fibrolamellar carcinoma of the liver except:
1. More common in females
2. Better prognosis than HCC
3. AFP levels always greater than 1000
4. Occur in younger individuals

Correct answer: 3. AFP levels always greater than 1000

Explanation: It is AFP-negative, but patients typically have elevated neurotensin levels, normal liver function tests, and no cirrhosis. Ref: Harrison's Internal Medicine, 14th Edition, Page 580, 15th Edition, Page 590 and 18th Edition, Pages 784-785; Concise Pathology, 2nd Edition By Para Chandrasoma, Clive Roy Taylor, Page 650.